Fink’s effect is
1. Also called second gas effect
2. Due to rapid uptake of N2O during induction
3. Due to rapid elimination of N2O during recovery
4. Increase in partial pressure of oxygen during recovery

Correct answer: 3. Due to rapid elimination of N2O during recovery

Explanation: Fink’s effect is diffusion hypoxia. Rapid elimination of N2O during recovery causes reduction in partial pressure of oxygen leading to hypoxia.